Internal arcuate fibers of medulla comes from ?
1. Dorsal nucleus of vagus
2. Hypoglossal nucleus
3. Nucleus of tractus solitariu
4. Nucleus gracilis & cuneatus

Correct answer: 4. Nucleus gracilis & cuneatus

Explanation: Ans. is 'd' i.e., Nucleus gracilis & cuneatusThe nucleus gracilis and cuneatus give rise to the internal arcuate fibres.The fibres cross to the opposite side where they form a paramedian band of fibres, called the medial lemniscus. In the lemniscus, the body is represented with the head posteriorly and the feet anteriorly.